Intraoperative sentinel lymph node detection in axilla is done by using
1. Mammography
2. Isosulfan blue dye
3. MRI
4. CT

Correct answer: 2. Isosulfan blue dye

Explanation: . The first axillary node draining the breast (by direct drainage) is designated as the sentinel node (SLN). Sentinel node is localised by preoperative (within 12 hours prior) or peroperative injection of patent blue (Isosulfan vital blue dye 2.5-7.5 ml) or 99m TC radioisotope labelled albumin (one mCi on previous day)/sulphur colloid (6 hours before) near the tumour (peri tumour area) or into subdermal plexus around the nipple SLN Biopsy is done in all cases of early breast cancers, T1 and T2 without clinically palpable node. It is not done in clinically palpable axillary node as there is already distortion of lymphatic flow due to tumour.I t is also not done in multifocal and multicentric tumours, as there is involvement of many lymphatic trunks from different places of breast, and chances of false-negative is high.. Ref; (page no; 543) 5th edition of SRB'S manual of Surgery